True about clostridium tetani -
1. It is gram +ve
2. Drum stick appearance
3. Obligate Anaerobe
4. All

Correct answer: 4. All

Explanation: Ans:D.)All Clostridium tetani It is a rod-shaped, anaerobic species of pathogenic bacteria, of the genus Clostridium. Like other Clostridium genus species, it is Gram-positive, and its appearance on a gram stain resembles tennis rackets or drumsticks. C. tetani is found as spores in soil or in the gastrointestinal tract of animals. C. tetani produces a potent biological toxin, tetanospasmin, and is the causative agent of tetanus, a disease characterized by painful muscular spasms that can lead to respiratory failure and, in up to 10% of cases, death. C. tetani is a rod-shaped, obligate anaerobe. During vegetative growth, the organism cannot survive in the presence of oxygen, is heat-sensitive and exhibits flagellar motility.